Which sampling method is used in pathfinder surveys?
1. Simple random
2. Stratified random
3. Stratified cluster
4. Snowball

Correct answer: 3. Stratified cluster